Monoclonal antibody to IL-5 is:
1. Mepolizumb
2. Omalizumb
3. Keliximab
4. Altrakincept

Correct answer: 1. Mepolizumb

Explanation: IL5 antagonists- reslizumab, mepolizumab, benralizumab(IL5 receptor antagonist) MEPOLIZUMAB: Mechanism of Action Humanized IgG1 kappa monoclonal antibody specific for IL-5; binds IL-5, and therefore stops IL-5 from binding to its receptor on the surface of eosinophils Inhibiting IL-5 binding to eosinophils reduces blood, tissue, and sputum eosinophil levels Absorption- Bioavailability: 80% Elimination Half-life: 16-22 days Systemic clearance: 0.28 L/day use:Asthma Indicated for add-on maintenance treatment of patients with severe asthma aged >=12 yr, and with an eosinophilic phenotype 100 mg SC q4wk Dosing Considerations Not for the treatment of other eosinophilic conditions Not for relief of acute bronchospasm or status asthmaticus Adverse Effects- headache MOST common REF KD Tripathi 8th ed